The MOST severe complication of idiopathic hyper-eosinophilic syndrome is:
1. Endocardial fibrosis
2. Eosinophilic gastroenteritis
3. Interstitial pneumonia
4. Bone marrow failure

Correct answer: 1. Endocardial fibrosis

Explanation: The most severe complicaions are involving heart and CNS. In the heart pathologic changes leads to thrombosis, endocardial fibrosis and restricve cardiomyopathy. Ref: Harrisons Principles of Internal Medicine, 18th Edition, Page 481